Harish 45 years old male admitted in hospital, says that nurse who is treating him is not actually nurse, his wife has replaced her and trying to killed him. Diagnosis.
1. Capgrass syndrome
2. Fregoli syndrome
3. Cotard syndrome
4. Alport syndrome

Correct answer: 2. Fregoli syndrome

Explanation: Fregoli syndrome : Patient believes that family member has come in disguise of stranger.